HAIR - AN is seen in?
1. Ovarian carcinoma
2. PCOD
3. Uterine prolapsed
4. Uterine myoma

Correct answer: 2. PCOD

Explanation: ANSWER: (B) PCODREF: Rook 7th edp. 19.119HAIR-AN syndrome consists of hyperandrogenism (HA), insulin resistance (IR), and acanthosis nigricans (AN). It is a subset of polycystic ovary syndromeAlso know:SAHA syndrome is characterized by seborrhoea, acne, hirsutism and alopecia , frequently associated with polycystic ovary syndrome, cystic mastitis, obesity and infertility.PAPA syndrome is an acronym for pyogenic arthritis, pyoderma gangrenosum and acne. It is a rare genetic disorder characterised by its effects on skin and joints.